Which of the following is not an adverse effect of growth hormone therapy
1. Carpal tunnel syndrome
2. Hypoglycemia
3. Intracranial hypertension
4. Slipped femoral epiphysis

Correct answer: 2. Hypoglycemia

Explanation: Refer Goodman Gilman 12/e p 1116 Growth hormone therapy commonly leads to hyper glycemia and not hypoglycemia